What is common in amalgam and ceramics?
1. More compressive strength but less tensile strength
2. More compressive strength and tensile strength
3. Less compressive strength but more tensile strength
4. Less compressive strength and tensile strength

Correct answer: 1. More compressive strength but less tensile strength